Density of a radiograph depends on :
1. Thickness of  object
2. The quality and quantity of X-rays.
3. The velocity of e - emitted from the cathode.
4. All of the above

Correct answer: 4. All of the above

Explanation: Density / Overall darkening of a radiograph depends on:

Thickness of object
The quality and quantity of X-rays.
The velocity of e - emitted from the cathode.